Embryo proper is derived from which part of morula?
1. Inner cell mass
2. Outer cell mass
3. Both of the above
4. None of the above

Correct answer: 1. Inner cell mass

Explanation: Approximately 3 days after fertilization, cells of the compacted embryo divide again to form a 16-cell morula (mulberry). Inner cells of the morula constitute the inner cell mass, and surrounding cells compose the outer cell mass. The inner cell mass gives rise to tissues of the embryo proper, and the outer cell mass forms the trophoblast, which later contributes to the placenta. Ref: Langman's embryology 11th edition Chapter 3.